Adipocure occurs in
1. Arsenic poison
2. Lying in water
3. Body inside car locked doors
4. Inside shallow soil

Correct answer: 2. Lying in water

Explanation: Warm, moist climate essential.
Clostridium - lecithinase.
Intrinsic lipase.